The breast is a hormonally responsive organ. Which statement about progesterone is NOT true?
1. Progesterone is produced in the ovary
2. Progesterone stimulates growth of the lobules and the acini
3. Progesterone causes an increase in interstitial fluid in the breast
4. Progesterone promotes growth of both the stroma and the duct system of the breast

Correct answer: 4. Progesterone promotes growth of both the stroma and the duct system of the breast

Explanation: Progesterone is produced by the ovary and by the placenta and stimulates growth of the acini and lobules. Progesterone also causes an increase in interstitial fluid in the breast, particularly in the perilobular stroma. During pregnancy, progesterone from the placenta stimulates marked increases in the lobules, both in size and number, and is responsible for secretory modifications in the cytoplasm of the acinar cells. Estrogen promotes fat deposition and growth of both stroma and the duct system of the breast. Ref: Molina P.E. (2013). Chapter 9. Female Reproductive System. In P.E. Molina (Ed), Endocrine Physiology, 4e.